True about lepra bacilli is
1. INH inhibits their growth
2. Antileprosy vaccine can give life long protection
3. Mycobacterium leprae can be grown in foot pad of mice
4. Incubation period is 3-4 months

Correct answer: 3. Mycobacterium leprae can be grown in foot pad of mice

Explanation: Ans. is 'c' i.e., Mycobacterium leprae can be grown in foot pad of mice Mycobacterium leprae - Incubation period -Leprosy has a long incubation period, an average of 3-5 years of more for lepromatous cases. The tuberculoid leprosy has a shorter incubation period.Culture -M. Leprae can be cultured in footpad of mice. In fact it is the only certain way to identify mycobacterium leprae. It is 10 times more sensitive at detecting M leprae than are slit Skin smears.Drugs effective against M leprae - RifampicinDapsone - QuinoloneClofazimine - MinocyclineEthionamide and protionamide - ClarithromycinINH has no role in the t/t of M leprae. It is highly effective against M. Tuberculosis.Anti leprosy vaccineSeveral 'candidate' vaccines have been tried against M. leprae but none of them have attained (Vaccinehood9 as yet.The most effective vaccine against M. Leprae is BCG vaccine + heat killed M. leprae Also know-Globi are characteristic of lepromatous leprosy.They are actually macrophages stuffed with Lepra bacilli and they form clumps.